Extraction of following isolated residual maxillary tooth offers the hazard of fracture of tuberosity:
1. 3rd molar
2. 1st molar
3. 2nd molar
4. All of the above

Correct answer: 4. All of the above

Explanation: Extraction of isolated residual maxillary molar offers the hazard of fracture of tuberosity or floor of the antrum.